Aspirin prolongs bleeding by inhibiting the synthesis of which of the following?
1. Adenosine receptors
2. Cyclic AMP
3. Prostacyclin
4. Thromboxane A2

Correct answer: 4. Thromboxane A2

Explanation: Aspirin inactivates cyclo- oxygenase by irreversible acetylation of the enzyme and thereby inhibit the synthesis of thromboxane A2 even in low doses (75mg/day). From medical pharmacology padmaja 4th edition page no 344